Bile gets concentrated in?
1. Pancreas
2. Liver
3. Gall bladder
4. Stomach

Correct answer: 3. Gall bladder

Explanation: Gall bladderStorage & concentration of bileStorage of Bile:Bile is continuously secreted by liver. Released intermittently into intestine Most stored in gallbladder.Concentration of Bile:Bile is concentrated during its gallbladder storage.Gallbladder mucosa rapidly reabsorbs water & electrolytes.Calcium & potassium, bile salts, bile pigments, cholesterol, and lecithin are not reabsorbed. Hence their bile concentration increases 5 to 10 times.